Not true about aneurysmal bone cyst
1. Expansile, Blood filled cyst
2. Most common in upper end of Tibia
3. Diagnosis is by FNAC
4. Is a pseudocyst

Correct answer: 3. Diagnosis is by FNAC